Croup is most commonly due to ?
1. The respiratory syncytial virus
2. The para influenza virus
3. The adenovirus
4. The coronavirus

Correct answer: 2. The para influenza virus

Explanation: Ans. is 'b' i.e., The para influenza virus Croup (Laryngotracheobronchitisl Croup is a viral infection of upper respiratory tract. Children between the age of 1-5 years are affected. Para-influenza type I virus is the most common causative organism. Other viruses implicated in causaction are RSV, influenza virus, Adneovirus and Rhinovirus.